The other name for reverse transcriptase is :
1. DNA dependent DNA polymerase
2. RNA dependent RNA polymerase
3. DNA dependent RNA polymerase
4. RNA dependent DNA polymerase

Correct answer: 4. RNA dependent DNA polymerase